A 17-year-old boy with a stab wound received multiple injuries on the upper part of the arm and required surgery. If the brachial artery were ligated at its origin, which of the following arteries would supply blood to the profunda brachii artery?
1. Lateral thoracic
2. Subscapular
3. Posterior humeral circumflex
4. Superior ulnar collateral

Correct answer: 3. Posterior humeral circumflex

Explanation: The posterior humeral circumflex artery anastomoses with an ascending branch of the profunda brachii artery, whereas the lateral thoracic and subscapular arteries do not. The superior ulnar collateral and radial recurrent arteries arise inferior to the origin of the profunda brachii artery.